Chronic discharging sinus with bone particle is seen in-
1. Chronic osteomyelitis
2. Acute osteomyelitis
3. Subacute osteomyelitis
4. Garre's osteomyelitis

Correct answer: 1. Chronic osteomyelitis

Explanation: In chronic ostemoylelitis bone is destroyed in the affected part Cavities containing pus and pieces of dead bone are surrounded by vascular tissue. Often sinus track leads to skin surface, the sinus tends to heal and present down reverently but if a sequestrum is present it never heals permanently This is because sequestra act as substrate for bacterial adhesion in much the same way as foreign implants, ensuring the persistence of infection until they are removed or discharged through perforation in the involucrum and sinuses that drain to the skin REF : MAHESWARI 9TH ED